Prussak's space is situated in
1. Ear canal
2. Epitympanum
3. Mesotympanum
4. Hypotympanum

Correct answer: 2. Epitympanum

Explanation: Prussak's space: Prussak's space lies medial to pars flaccida, lateral to the neck of malleus and above the lateral process of malleus. Anteriorly, posteriorly and superiorly, it is bounded by lateral malleal ligament. Posteriorly, it also has a gap through which the space communicates with epitympanum. Ref:- Dhingra; pg num:-449